Clitoris develops from -
1. Urogenital sinus
2. Labio scrotal swelling
3. Genital folds
4. Genital tubercle

Correct answer: 4. Genital tubercle